chronic use of which drug is most likely to cause osteoporosis:
1. Lovastatin
2. Propranolol
3. Warfarin
4. Corticosteroid

Correct answer: 4. Corticosteroid

Explanation: Ans. D. CorticosteroidCorticosteroids antagonize the action of 1, 25 dihroxy vitamin D3 and result in loss of calcium from the kidney. Also they cause resorption of bone thus leading to osteoporosis.